Which of the following signs suggest benign nature in the evaluation of solitary pulmonary nodule on CT scan?
1. Air bronchogram in nodule
2. Presence of amorphous calcification
3. Fat density within the lesion
4. Spiculated outline

Correct answer: 3. Fat density within the lesion

Explanation: Fat density within the lesion is characteristic of hamartoma.